Bernad-Soulier syndrome is a defect in platelet
1. Aggregation
2. Adhesion
3. Morphology
4. Release reaction

Correct answer: 2. Adhesion

Explanation: Bernad-Soulier syndrome is a defect in platelet adhesion defect with gp Ib / IX defect.